Soap bubble appearence on abdominal radiograph is associated with
1. Achalasia cardia
2. Meconium ileus
3. Duodenal atresia
4. CHPS

Correct answer: 2. Meconium ileus

Explanation: Soap-bubble' effect of gas mixed with 'meconium', commonly seen with 'meconium ileus'.